Thermal shrinkage in Phosphate bonded investment
occurs due to release of
1. CO2
2. H2
3. NH3
4. Methane

Correct answer: 3. NH3